In glycolysis, the first committed step is catalysed by
1. 2, 3 DPG
2. Glucokinase
3. Hexokinase
4. Phosphofructokinase

Correct answer: 4. Phosphofructokinase

Explanation: Phosphofructokinase catalyzes the committed step of glycolysis, meaning that once fructose 1, 6 - bisphosphate is formed it must go for the glycolytic pathway only.